CD marker specific for myeloid series -
1. CD34
2. CD45
3. CD99
4. CD117

Correct answer: 4. CD117

Explanation: Ans. is 'd' i.e., CD 117 Immunological markers commonly used to detect myeloid lineage: - * CD13Q CD33 QCDllbQCD15 QCD4q * CD117Q cMPO (Lineage specific)* "In the myeloid Unease the most useful antigens for recognizing myeloblasts include CD13. CD33. CP117 and cMPO.- Other antigens such as I/b and CD 16 are less useful because their expressions vary highly among the AML's and they may appear or disappear at relapse and therefore may not be useful for follow up purpose."- (Flow cytometry in hematopathology by Doyen Nguyen MD Lawrence W. Diamond., MD, Raul C. Bryaland).Immunological markers commonly used in classification of Acute leukemiaLineage Antigen* BCell-CD 19, CD20, CD22, CD79a, cCD22, cCD79a* TCell-CD1, CD2, CD3, CD4, CD5, CD7, CD8, Ccd3,Lymphoid TdT.* Myeloid-CD13, CD33, CD 11b, CD15, CD4 (CD2), CD 117, c MPO.* Monocytic-CD14, CD11b* Erythroid-Glycophorin A* Megakaryocyte-CD41, CD61, CKD41, CCD6ILineage independent Antigens * Leucocyte common antigen- CD45* Stem cell antigen - CD 34* Common Acute lymphoblastic - CD 10leukemia antigen